Which of these muscles is not cut in postero lateral thoractomy :
1. Serratus anterior
2. Pectoralis major
3. Latissimus dorsi
4. Intercostals

Correct answer: 2. Pectoralis major

Explanation: B. i.e. Pectoralis major